For an occlusal appliance used for muscle relaxation to be effective, the condyles must be located in their most stable position from a musculoskeletal perspective. This is _____.
1. Centric occlusion
2. At the vertical dimension of rest
3. Centric relation
4. Maximum intercuspal position

Correct answer: 3. Centric relation

Explanation: The condyles should be in centric relation, which is defined as “the maxillomandibular relationship in which, the condyles articulate with the thinnest avascular portion of their respective disks with the condyle–disk complex in the anterior-superior position, against the shapes of the articular eminences.”